A median round Lesion in front of circumvallate papillae,
with epithelial hyperplasia diagnosis is:
1. Median rhomboid glossitis
2. Erythema migrans
3. Apthous ulcer
4. Chemical burn

Correct answer: 1. Median rhomboid glossitis